About posterior cruciate ligment true statement is ?
1. Prevent posterior displacement of Tibia
2. Attaches to lateral femoral condyle.
3. Intra synovial
4. Inserted on medial side of medial femoral condyle.

Correct answer: 1. Prevent posterior displacement of Tibia

Explanation: A i.e. Prevents posterior displacement of tibia PCL is intracapsular extra'synovial ligamentQ which is attached on lateral surface of medial femoral condyleQ. It prevents posterior subluxation of tibia on femur(2. It is larger & stronger than ACL.